A case of obstructed labour which was delivered by caesarian section complains of cyclical passage of menstrual blood in urine. Which is the most likely site of fistula :
1. U retherovagi nal
2. Vesico-vaginal
3. Vesico-uterine
4. Uretero-uterine

Correct answer: 3. Vesico-uterine

Explanation: Vesico-uterine The condition of cyclical passage of menstrual blood in urine is called as Menouria. Mensouria : The patient complains 0 hematuria I passage of menstrual discharge urethra at the time of menstruation. It is seen In uterovesical fistulaedeg Usually follows caesarean sectiondeg Patient remains free from Urinary incontinence.deg MensoUria is seen when Utero vesical fistula opens into the uterus above the isthmus.deg The presence of the fistula can be. demonstrated by hysterography (but not by cystography) and cystoscopy.deg I.